Posterior pituitary secrets-
1. GH
2. TSH
3. ADH
4. FSH

Correct answer: 3. ADH

Explanation: The neurohypophysis is composed mainly of interlacing nerve fibres in which are scattered specialised glial cells called pituicytes. These nerve fibres on electron microscopy contain granules of neurosecretory material made up of 2 octapeptides--vasopressin or antidiuretic hormone (ADH), and oxytocin, both of which are produced by neurosecretory cells of the hypothalamus but are stored in the cells of posterior pituitary. Ref: TEXTBOOK OF PATHOLOGY 6th EDITION PAGE NO:793